Civatte bodies are found in:
1. Lichen Planus
2. Psoriasis
3. Dermatophytosis
4. Vitiligo

Correct answer: 1. Lichen Planus

Explanation: Ans: a (Lichen planus)Ref: Robbin's Patho, 7th ed, p. 1258 & 6th ed, p. 1200